A malnourished child from a poor socioeconomic status, residing in overcrowded and dirty areas presents with a nodule around the limbus with hyperemia of surrounding conjunctiva in his left eye. He is also observed to have axillary and cervical lymphadenopathy. Which of the following is the most likely diagnosis –
1. Phlyctenular conjunctivitis
2. Foreign body granuloma
3. Vernal keratoconjunctivitis
4. Episcleritis

Correct answer: 1. Phlyctenular conjunctivitis

Explanation: Presence of a nodule around the limbus with hyperaemia of surrounding conjunctiva in a child with risk factors for tuberculosis suggests a diagnosis of Phlyctenular conjunctivitis.
Malnutrition, poor socio-economic status (poverty), overcrowded and dirty surrounding and axillary/cervical lymphadenopathy are all pointers to a high risk of tuberculosis.